Commonest type of Retinal detachment -
1. Rheugmatogenous
2. Choroidal hemorrhage
3. Exudative
4. Tractional

Correct answer: 1. Rheugmatogenous

Explanation: Rhegmatogenous retinal detachment usually associated with a retinal break (hole or tear) through which subretinal fluid (SRF) seeps and separates the sensory retina from the pigmentary epithelium. This is the commonest type of retinal detachment. Ref khurana 6/e p 299